All of them develop in the mesentery of stomach except -
1. Liver
2. Spleen
3. Kidney
4. Pancreas

Correct answer: 3. Kidney